Which cancer is most commonly associated with increased estrogen levels?
1. Cervix
2. Ovarian
3. Breast
4. GTN

Correct answer: 3. Breast

Explanation: Ans. is 'c' i.e., Breast Important risk factors for breast cancer1) Increased age8) High fat diet2) Female sex9) High socioeconomic status3) Western countries10) Irradiation4) Early menarche11) Hormone replacement therapy5) Late menopause12) Family history positive6) Obesity13) Somatic mutation in p53 gene (in 40% cases)7) Nulliparity * Most of these factors are related to increased exposure of estrogen to breast.* Breast feeding is protective against breast cancer. Thus women who avoid breast cancer are at increased risk to develop breast cancer. Oral contraceptives and smoking do not appear to increase the risk of breast cancer.* 3 most important cancer associated with estrogen are breast, endometrium and uterine.Note - There is also an increased risk of ovarian cancer with long term large dose estrogen therapy, but much less common as compared to breast cancer.